Regimental band anesthesia is due to lesion of:
1. Musculocutaneous nerve
2. Axillary nerve
3. Long thoracic nerve
4. Spinal accessory nerve

Correct answer: 2. Axillary nerve

Explanation: Ans. B Axillary nerveRef: Kulkarni Clinical Anatomy, 2nd ed. pg. 30The damage to axillary nerve leads to regimental badge anaesthesia.Axillary nerve injury leads to deltoid and teres minor paralysis. The manifestations are:* Loss of rounded contour of shoulder* Sensory loss in skin covering lower part of deltoid.* Loss of abduction from 15deg to 90deg is due to deltoid paralysis.